All of the following are risk factors for Pelvic Inflammatory Disease (PID) except ________
1. Females not on OCP
2. Pregnancy
3. IUD users
4. Previous history of acute PID

Correct answer: 2. Pregnancy

Explanation: Pregnancy is not a risk factor for PID. Risk factors of PID: Multiple teenagers Multiple sexual partners Absence of contrceptive pills Previous history of PID IUCD users Protective factors of PID: Barrier methods (Condoms, diaphragms) Oral contraceptive pills Pregnancy Menopause Note: Several studies in developed and developing countries have found that current or recent OC use reduces the risk of Pelvic inflammatory disease, a major cause of female infertility. These studies have found that OC use lowers the risk by, on average, about 40%. Two mechanisms may be operative: OCs may change the cervical mucus such that it prevents pathogenic organisms from ascending into the upper genital tract or OCs reduce menstrual blood flow, thus decreasing the amount of medium available for bacterial growth. Ref: Williams Gynaecology 3rd edition Pgno: 66